The narrowest part of the larynx in children is
1. Supraglottic region
2. Subglottic region
3. Glottic region
4. None of the above

Correct answer: 2. Subglottic region

Explanation: The narrowest part of the larynx in children - Subglottic region The narrowest part of the larynx in adults - Rima glottidis (glottis). Ref: PL Dhingra, Diseases of Ear, Nose & Throat, 7th edition, pg no. 319 - 322